Chronic smoker develops cough, hemoptysis. Doctor tells him that he is having most malignant type of bronchogenic carcinoma. The type is -
1. Squamous
2. Small cell
3. Large cell
4. Adenomatous

Correct answer: 2. Small cell

Explanation: Most malignant tumor of lung is small cell carcinoma and it is strongly associated with smoking.